Drug used in treatment of peripheral vascular disease which acts by increasing flexibility of RBC membrane and increasing micro circulation?
1. Cyclandelate
2. Xanhinol nicotinate
3. Pentoxiphylline
4. Cilostazole

Correct answer: 3. Pentoxiphylline

Explanation: Ans. is'c' i.e., Pentoxifylline(Ref: KDT Vh/e p. 555)Pentoxifylline (Oxpentifflline)An analogue of theophylline and a weak phosphodiesterase (PDE) inhibitor, it has been shown to increase blood flow in ischaemic areas by reducing whole blood viscosity and by improving flexibility of RBCs.Pentoxifylline is mainly used in intermittent claudication (calf pain on walking) due to occlusive vascular disease (Buerger's disease); walking distance is increased.Other conditions claimed to be improved are: trophic leg ulcers, transient ischaemic attacks (TIAs), non haemorrhagic stroke, and chronic cerebrovascular insufficiency.However, overall benefits are modest and restricted to a fraction of patients